Not a marker for hyperparathyroidism is -
1. Increase in serum calcium
2. Increase in 24 hour urinary calcium excretion
3. Increase in serum calcitonin
4. Subperiosteal resorption of phalanges

Correct answer: 3. Increase in serum calcitonin

Explanation: markers include increased serum calcium, 24-hr urinary calcium , creatinine clearance, bone mineral density ( Harrison 17 pg 2383)